During pregnancy, GFR -
1. Increases
2. Decreases
3. Remains unchanged
4. Increases only in multiple gestations

Correct answer: 1. Increases

Explanation: Ans. is 'a' i.e., Increases Renal changes in pregnancyIncreasedDecreasedRenal blood flow (+50%)S. creatinineGFR (+50%)S. BUNCreatinine clearanceS. uric acidGlucosuriaPlasma osmolalityAminoaciduriaS. Na+/K+/Cl-* S. aldosterone increases in pregnancy.* S. ADH (antidiuretic hormone) remains unchanged in pregnancy.